Not included in the definition of substance abuse syndrome:
1. Withdrawal symptoms and tolerance to drugs
2. Use despite knowing that it can cause physical/mental harm
3. Use despite substance related legal problems
4. recurrent substance abuse

Correct answer: 1. Withdrawal symptoms and tolerance to drugs

Explanation: The DSM-IV, diagnosis of substance abuse includes the following four criterion (1) recurrent use resulting in failure to fulfill major obligations at work, school or home. (2) Recurrent use in situations in which it is physically hazardous (such as while driving) (3) substance use causing legal problems and (4) substance use causing social or interpersonal problems (e.g. fights with spouse). Withdrawal and tolerance are a criterion for "substance dependence" but not substance abuse" Please remember in DSM-5, both these diagnosis of "substance dependence" and "substance abuse" have been removed and replaced by "substance use disorders".